Once a week preparation used in diabetes management is?
1. Alogliptin
2. Empagliflozin
3. Albiglutide
4. Glimepiride

Correct answer: 3. Albiglutide

Explanation: GLP-1 Receptor agonists: exenatide, albiglutide, dulaglutide are available as once weekly administration by subcutaneous route. Liraglutide needs to be given once per day.